Sleep waves in hippocampal area is
1. Delta
2. Theta
3. Beta
4. Alpha

Correct answer: 2. Theta

Explanation: Ans. (b) Theta(Ref: Ganong, 25th ed/p.273)Theta wave#Frequency is 4-7Hz#Generated in hippocampus#Most commonly seen in children#Pathologically seen often in degenerative brain diseases